Ventouse in 2nd  stage of labour is contraindicated in:
1. Persistent occipito-posterior position
2. Heart disease
3. Uterine inertia
4. Preterm labour

Correct answer: 4. Preterm labour